Which of the following cranial nerve does NOT carry parasympathetic fibres for its function?
1. Fourth
2. Seventh
3. Third
4. Ninth

Correct answer: 1. Fourth

Explanation: The oculomotor (III), facial (VII), glossopharyngeal (IX), and vagus (X) nerves are the four cranial nerves that carry the parasympathetic outflow from the brain to most of the body. Parasympathetic innervation of the pelvic organs and lower gastrointestinal tract is from the sacral parasympathetic outflow (S2-4).The trochlear nerve (IV) innervates one muscle, the superior oblique, which moves the eye. It is solely a motor nerve. It is the only cranial nerve that arises from the posterior aspect of the brain and it has a long intracranial course.